Location of pyriformis fossa -
1. Nasopharynx
2. Oropharynx
3. Laryngeal part of pharynx
4. None

Correct answer: 3. Laryngeal part of pharynx

Explanation: Pyriformis fossa is part of hypopharynx (laryngopharynx or laryngeal part of pharynx).